In lung, true about Hyaline membrane disease
1. FRC is smaller than closing volume
2. FRC is larger than closing volume
3. FRC is equal to closing volume
4. FRC doesn't depend on closing volume

Correct answer: 1. FRC is smaller than closing volume

Explanation: A breathing disorder in newborns caused by immature lungs. Neonatal respiratory distress syndrome (NRDS) is more common in premature babies born six weeks or more before their due dates. It usually develops within the first 24 hours after birth Ref: guyton and hall textbook of medical physiology 12 edition page number:320,321,322